Which is the site of generation of respiratory rhythm?
1. Botzinger complex
2. Pre-Botzinger complex
3. Dorsal respiratory group of neurons in medulla
4. Ventral respiratory group of neurons in medulla

Correct answer: 2. Pre-Botzinger complex

Explanation: Ans. B Pre-botzinger complexRef: Ganongy 25th ed. pg. 656Prebotzinger complex- located between nucleus ambiguous and lateral reticular nucleus on either side of medulla is the site of generation of respiratory rhythm.